All of the following intraocular foreign bodies produce suppurative reaction except:
1. Pure zinc
2. Mercury
3. Copper alloys
4. Nickel

Correct answer: 3. Copper alloys

Explanation: Ans. Copper alloys